In a foetus, thyroxine secretion begins by?
1. 3rd month
2. 8th week
3. 10th to 12th weeks
4. 9th month

Correct answer: 3. 10th to 12th weeks

Explanation: Thyroxine secretion begins by 10th to 12th weeks. Glucagon secretion begins by 8th week. Insulin containing granules can be identified in the human foetal pancreas by 9 to 10 weeks. and insulin in foetal plasma is detectable at 12 weeks. Ref: Williams Obstetrics, 22/e, Page 108 ; Dutta Obstetrics 6/e, Page 43